All of the following are advantages of transdermal drug delivery systems except
1. They produce high peak plasma concentration of the drug
2. They produce smooth and nonfluctuating plasma concentration of the drug
3. They minimize interindividual variation in the achieved plasma drug concentration
4. They avoid hepatic first pass metabolism of the drug

Correct answer: 1. They produce high peak plasma concentration of the drug

Explanation: Ref-KDT 6/e p9 Transdermal route ts emploved for highly liid soluble drugs that can tra verse intact skin. The wize of the pores in tansdermal patch is adjusted to produce aunitorm and smouth absorption of the drug. This will thus, pro duce a delaved d smaller peak. in the plasma concentration. As the drug. is soins directly in the blood stream, tirst pass metabolism is avoided.